A patient presents to the emergency department with uniocular diplopia. Examination with oblique illumination shows shining golden crescent while examination with co-axial illumination show a black dark crescent line. Which of the following is the most likely diagnosis.
1. Ectopia lentis
2. Lenticonus
3. Coloboma
4. Microspherophakia

Correct answer: 1. Ectopia lentis

Explanation: A i.e. Ectopia lentis